Red degeneration of fibroid is due to :
1. Thrombosis of the veins
2. Infection
3. Gangrene
4. Rupture of capsules

Correct answer: 1. Thrombosis of the veins

Explanation: Thrombosis of the veins